Which anticoagulant is used when blood is sent for blood culture?
1. Sodium
2. EDTA
3. Oxalate
4. SPS

Correct answer: 4. SPS

Explanation: Sodium polyanethole sulfonate (SPS) is the most common anticoagulantused in commercial blood culturebottles. Blood from patients with symptoms of bacteremia has been drawn under sterile conditions into bottles containing growth medium containing SPS for culture of bacteria (3, 11, 19). Ref ananthnarayana and panikers microbiology textbook 8/e